Concentration of diethylcarbomazine in DEC medicated salt in endemic filariasis is -
1. 2-4 gm\/kg
2. 3-6 gm\/kg
3. 5-10 gm\/kg
4. 10-15 gm\/kg

Correct answer: 1. 2-4 gm\/kg

Explanation: DEC Medicated salt:- The use of DEC medicated salt is a special form of mass treatment using very low doses of the drug over a long period of time. Common salt medicated with 1-4 g of DEC per kg has been used for filariasis control in endemic areas of W.bancrofti and B.malayi . Treatment should be continue for 6-9 months {Reference: park's textbook of preventive and social medicine, 23rd edition, pg no.274}